Organ that does not show countercoup injuries:
1. Heart
2. Brain
3. Lung
4. Pancreas

Correct answer: 4. Pancreas

Explanation: Ans. Pancreas